Succinate dehydrogenase is inhibited by
1. Fluoroacetate
2. Cyanide
3. Arsenite
4. Malonate

Correct answer: 4. Malonate

Explanation: Succinate is dehydrogenated to fumarate, an unsaturated dicarboxylic acid, by succinate dehydrogenase (step 6, Fig.18.2). The hydrogen atoms are accepted by FAD. The FADH2 then enters into ETC to generate ATPs. The enzyme is a flavoprotein. The succinate dehydrogenase is competitively inhibited by malonateRef: DM Vasudevan, Page no: 219